Which is the Nucleus of masseteric reflex?
1. Superior sensory nucleus of trigeminal nerve
2. Spinal nucleus of trigeminal nerve
3. Mesencephalic nucleus of trigeminal nerve
4. Dorsal nucleus of vagus nerve

Correct answer: 3. Mesencephalic nucleus of trigeminal nerve

Explanation: The jaw jerk reflex or the masseteric reflex is a stretch reflex used to test the status of a patient's trigeminal nerve (CN V)Cell bodies of neurons carrying proprioceptive sensations from muscles of mastication, TMJ teeth and tongue are in the Mesencephalic nucleus of trigeminal nerve.(Ref: Vishram Singh textbook of clinical neuroanatomy second edition pg 100)